Hypoglycemia, jaundice, microphallus with absent septum pellucidum are characteristics of which syndrome?
1. De morsier syndrome
2. Silver - Russell syndrome
3. Kallmann syndrome
4. Kearns - sayre syndrome

Correct answer: 1. De morsier syndrome

Explanation: Septo-optic dysplasia (De Morsier syndrome)- Underdevelopment of the optic nerve, pituitary gland dysfunction, and absence septum pellucidum Kalman syndrome: Hypogonadism and anosmia. Russell Silver syndrome: Short stature, microcephaly, triangular facies, fifth finger clinodactyly Kearns - sayre syndrome- external ophthalmoplegia, deafness, ataxia, heart block